Negative nitrogen balance is the characteristic feature of which phase of convalescence after surgery?
1. Catabolic phase
2. Anabolic phase
3. Fat gain phase
4. Tuning point phase

Correct answer: 1. Catabolic phase